IFN-a and IFN-b are produced by the virus-infected cell due to the interaction of virus nucleic acid with which of the following?
1. C3 (third component of complement)
2. Defensins
3. TLR pathway
4. IL-12

Correct answer: 3. TLR pathway

Explanation: Following virus entry into a cell, the virus initiates replication and the viral nucleic acid interacts with specific microbial sensors (TLR3, TLR7, TLR 9, RIG-1, and MDA-5). This interaction triggers cellular production of IFN that is secreted from the infected cell.Jawetz 27e pg: 130